Runt disease is ?
1. Graft rejection
2. Graft vs host disease
3. Host vs graft disease
4. Type III hypersensitivity

Correct answer: 2. Graft vs host disease

Explanation: Ans. is 'b' i.e., Graft vs host disease